Most common type of inheritance associated with consanguinity is?
1. Autosomal dominant
2. Autosomal recessive
3. X-linked dominant
4. X-linked recessive

Correct answer: 2. Autosomal recessive

Explanation: Ans. is 'b' i.e., Autosomal recessive Consanguinity* Increases risk of - autosomal recessive disease* No change in risk of - autosomal dominant, X linked recessive (if neither parent affected)* Not Proven - complex late onset diseases like diabetes, schizophrenia, cardiovascular diseases